Crohn's disease is associated with following
1. Stomach not involved
2. No granulomatous + Transmucosal fissures
3. Continuous involvement
4. Through and through involvement of thickness of bowel wall

Correct answer: 4. Through and through involvement of thickness of bowel wall